The most common cause of hypovolemic shock is
1. Haemorrhage
2. Decreased RBC formation
3. Bone marrow suppression
4. None of the above

Correct answer: 1. Haemorrhage